True about apoptosis is all except?
1. Considerable apoptosis may occur in a tissue before it becomes apparent in histology
2. Apoptotic cells appear as round mass of the intensely eosinophilic cytoplasm with dense nuclear chromatin fragments
3. Apoptosis of cells induce inflammatory reaction
4. Condensation of chromatin

Correct answer: 3. Apoptosis of cells induce inflammatory reaction

Explanation: Ans. (c)Apoptosis of cells induce inflammatory reactionRef: Robbin's pathology 9th ed. 152-53Remember Important Features of Apoptosis* Formation of cytoplasmic blebs and apoptotic bodies* Cell shrinkage: The cells are smaller in size and the cytoplasm is dense* Chromatin condensation: This is the most characteristic feature of apoptosis* Absence of inflammation* Gel Electrophoresis of DNA shows 'Step ladder Pattern.